Flaer assay is used for
1. Hereditary spherocytosis
2. Thalassemia
3. Paroxysmal nocturnal hemoglobinuria
4. All of the above

Correct answer: 3. Paroxysmal nocturnal hemoglobinuria

Explanation: Flaer (Flourescein - Labelled proaerolysin) is sensitive test for PNH.